For hysteroscopy, following are/is used
1. Distilled Water
2. Air
3. Glycine
4. O2

Correct answer: 3. Glycine

Explanation: Distending Media Uterine cavity is distended with a media to seperate the uterine walls and have a panoramic view during hysteroscopy CO2: Commonly used for diagnostic purposes. It is solouble in blood and is safe Glycine1.5%: Excellent visualisation, hyperosmolar Mannitol 5%+ Glycine 2.2% Normal saline D.C.DUTTA'S TEXTBOOK OF GYNECOLOGY; 6th edition; Pg no:620